GABA Reuptake is inhibited by
1. Tiagabine
2. Topiramate
3. Felbamate
4. Perampanel

Correct answer: 1. Tiagabine

Explanation: Reuptake is inhibited by tiagabine as shown in the picture